A patient presents with the clinical features of interstitial lung disease. How will you confirm the diagnosis:
1. CT scan
2. X - Ray
3. Bronchoscopy
4. MRI

Correct answer: 1. CT scan

Explanation: Ans. A: CT Scan CT scans are often the first diagnostic step for interstitial lung disease and may also help rule out other conditions that may cause similar symptoms. Pulmonary function tests (PFTs) are noninvasive tests that measure the function of the lungs. Spirometer can measure the volume of the lungs as well as the air flow into and out of the lungs. Biopsies or washings may be taken of the lungs and airways during bronchoscopy.